Voluntary stage of deglutition is:
1. Stage 1
2. Stage 2
3. Stage 3
4. All of the above.

Correct answer: 1. Stage 1

Explanation: Stage 1 is the oral phase and it is the voluntary stage of deglutition.